Cut-off value of cervical length at 24 weeks of gestation for prediction of preterm delivery is :
1. 0.5 cm
2. 1.5 cm
3. 2.5 cm
4. 3.5 cm

Correct answer: 3. 2.5 cm

Explanation: Ans. is c i.e. 2.5 cm